Which of the positions best describes the location of celiac plexus
1. Anterior or anterolateral to Aorta
2. Posterolateral to Aorta
3. Anterolateral to sympathetic chain
4. Anteromedial to sympathetic chain

Correct answer: 1. Anterior or anterolateral to Aorta

Explanation: A i.e. Anterior anterolateral to Aorta